Magistrate inquest comes under
1. Sec 172 CrPC
2. Sec 176 CrPC
3. Sec 174 CrpC
4. Sec 178 CrPC

Correct answer: 2. Sec 176 CrPC

Explanation: Refer the byte "Legal sections".